Most common cause of hypercalcemic crisis is:
1. Carcinoma breast
2. Parathyroid hyperplasia
3. Parathyroid adenoma
4. Paget's disease

Correct answer: 1. Carcinoma breast

Explanation: Answer is A (Carcinoma Breast): The most common cause of hypercalcemic crisis is malignancy. Hypercalcemic crisis due to primary hyperparathyroidism is rare - Surgical Oncology 1St (2003)/601 Amongst the options provided, carcinoma breast is the single best answer of choice. Hypercalcemic Crisis Hypercalcemic crisis refers to the presence of severe hypercalcemia and is defined arbitrarily as a total calcium > 14mg/d1 (> 3.5 mmo1/1) The most common cause of hypercalcemic crisis is malignancy and the most common cause is believed to be